Young age diabetics presenting with blackish nasal discharge, diagnosis is :
1. Aspergillosis
2. Mucormycosis
3. Rhinosporidiosis
4. Moniliasis

Correct answer: 2. Mucormycosis

Explanation: Ans. is 'b' i.e Mucormycosis Remember:Black necrotic mass in nose or black turbinates - fungal Infection is of Mucormycosis*Leafy Polypoidal mass, pink or purple in color, bleeds on Touch, in nasal cavity* - fungal infection of Rhinosporidium seeberi (Rhinosporidiosis)*White mucosal patches in nose - fungal infection of Candida*